Which is not a characteristic of Wegener's granulomatosis:
1. Granuloma in vessel wall
2. Focal necrotising glomerulonephritis
3. Positive for cANCA
4. Involves large vessels

Correct answer: 4. Involves large vessels

Explanation: Wegener's granulomatosis involves small vessels